Radiation tolerance of liver is
1. 15 Gy
2. 30 Gy
3. 40 Gy
4. 45 Gy

Correct answer: 2. 30 Gy

Explanation: Liver injury tends to be more common in those patients with radiation doses greater than 30 Gy or when the whole-liver is irradiated .It is usually seen as a result of therapy to adjacent organs, such as pancreatic carcinoma, gallbladder carcinoma, retroperitoneal lymphoma, pleural mesothelioma, distal esophageal and other lower thoracic malignancies.